Most common site of genital TB
1. Ovaries
2. Endometrium
3. Vulva
4. Fallopian tube

Correct answer: 4. Fallopian tube

Explanation: The general distribution of involvement of reproductive organs in cases of genital tuberculosis has been assessed as by Schaefer as follows: 1. Fallopian tubes ........................90-100% 2. Endometrium .......................... 50-60% 3. Ovaries .................................20-30% 4. Cervix ...................................5-15% 5. Vulva and vagina ...................1% Ref: Shaw Gynecology 17 e pg 348.